Features of Friedreich's Ataxia include all of the following except:
1. Progressive weakness
2. Absent lower limb reflexes
3. Increased tone in lower limbs
4. Extensor plantar Response

Correct answer: 3. Increased tone in lower limbs

Explanation: Answer is C (Increased tone in lower limbs): Despite pyramidal tract involvement, muscle tone in Friedreich's ataxia is usually normal or decreased